Ocular lesions of leprosy include all of the following except
1. Avascular keratitis
2. Interstitial keratitis
3. Fascicular keratitis
4. Neuroparalytic keratitis

Correct answer: 3. Fascicular keratitis

Explanation: Ans. Fascicular keratitis